"Sundowning" is seen in :
1. Night blindness
2. Parkinsonism
3. Delirium
4. Solar urticaria

Correct answer: 3. Delirium

Explanation: Sundowning is seen in cases of Delirium as worsening of symptons occur in the evening.